The oral fatal dose of potassium cyanide is
1. 5-10 mg
2. 1-2 mg
3. 200-300 mg
4. 1-2 gm

Correct answer: 3. 200-300 mg

Explanation: Fatal dose: 50 to 60 mg of pure acid 200-300mg of NaCN and KCN Fatal period: HCN 2-10 min NaCN and KCN 30 min Ref: FORENSIC MEDICINE AND TOXICOLOGY Dr PC IGNATIUS THIRD EDITION PAGE 472